Investigation of choice for torsion testis is
1. Colour Doppler
2. MRI
3. CT
4. Routine USG

Correct answer: 1. Colour Doppler

Explanation: Ans: a) Colour Doppler [ Ref:- Sutton - 7th edition Page No:-Doppler ultrasound is the imaging of choice for torsion testis. It helps in the diagnosis of torsion by virtue of reduced vascularity ( absence or poor colour flow, reduced peak systolic velocities) compared with the unaffected side.